The most frequent congenital anomaly of the GI tract is -
1. Imperforate anus
2. Meckel's diveticulum
3. Malrotation
4. Duodenal atresia

Correct answer: 2. Meckel's diveticulum